A patient presented with fever, night sweats and weight loss. Clinical examination revealed painless lymphadenopathy. Microscopy shows Reed Sternberg cells. Most likely condition is:
1. HIV
2. Chronic lymphocytic leukemia
3. Hodgkin's lymphoma
4. Secondary TB

Correct answer: 3. Hodgkin's lymphoma

Explanation: Ans: C i.e. Hodgkins lymphoma Conditions and presentations In the United states, the typical patients with AIDS presents with fever, weight loss, diarrhea, generalized lymphadenopathy, multiple opportunistic infections, neurologic disease, and, in many cases, secondary neoplasms. Biopsy specimens from enlarged lymph nodes in the early stages of HIV infection reveal a marked follicular hyperplasia Patients of CLL are often asymptomatic at diagnosis. When symptoms appear, they are nonspecific and include easy fatiguability, weight loss, and anorexia. Generalized lymphadenopathy and hepatosplenomegaly are present in 5060% of symptomatic patients. Proliferation centres (on microscopy) are pathognomic for CLL/ Small lymphocytic lymphoma. Smudge cells may be seen Hodgkins lymphoma most commonly presents as painless lymphadenopathy. Patients with disseminated disease (stage III-IV) or the mixed cellularity or lymphocyte depletion subtypes are more likely to have constitutional symptoms, such as fever, night sweats, and weight loss. Identification of Reed-Sternberg cells and their variants is essential for the diagnosis of Hodgkin lymphoma Systemic symptoms in localized secondary TB, often appear early in the course and include malaise, anorexia, weight loss, and fever. Commonly the fever is low grade and remittent (appearing late each afternoon and then subsiding), and night sweats occur. Regional lymph nodes are less prominently involved early in secondary disease than they are in primary disease. Histologically, sites of active involvement are marked by a characteristic granulomatous inflammatory reaction that forms both caseating and non-caseating tubercles.